Rituximab is a targeted antibody against -
1. CD 20
2. CD 22
3. CD 34
4. CD 55

Correct answer: 1. CD 20

Explanation: Ans. is 'a' i.e., CD 20 * Rituximab is a targeted antibody against cell surface molecule CD-20, i.e. Rituximab is anti CD-20 antibody.* It is used in:i) B-cell lymphomas Low grade lymphomas, mantle cell lymphomas, relapsed aggressive B cell lymphomas, CLLii) SLEiii) Rheumatoid arthritis